Which of the following drugs are useful in acute attack of gout
1. Furosemide
2. Sulfinpyrazone
3. Allipurinol
4. Piroxicam

Correct answer: 4. Piroxicam

Explanation: NSAIDs And colchicine are highly effective in acute attack of gout whereas allopurinol and sulfinpyrazone are used for chronic gout. furesemide causes hyperuricemia and should be avoided in patients with gout. Refer kDT 6/e p194